In blood buffers Bicarbonates buffers is ideal why?
1. Pka is equal to Ph
2. High concentration
3. Weak acid and weak base combination
4. easy to measure

Correct answer: 2. High concentration

Explanation: (High concentration): (711-/2- Shinde 8th edition)Bicarbonate Buffer system* Consists of weak acid "Carbonic acid" (H2CO3) and strong base (HCO3), NaHCO3 (Sodium bicarbonate)* Normal ratio in blood =NaHCO3H2CO3=201* They are the chief buffers of blood and constitute the so called Alkali reserve* Neutralisation of strong and non volatile acids entering the ECF is achieved by the bicarbonate buffers* Bicarbonate buffer system is directly linked up with respiration* Bicarbonate buffers system serve as an index to understand the disturbance in the acid base balance of the body (476- U. Satyanarayan 4th)Advantages of bicarbonate buffer system* It is present in very high concentration than other buffer system (26 to 28 millimole per littre )* Produces H2CO3 which is weak acid and volatile and CO2 is exhaled out* Hence it is a very good physiological buffer and acts as a front line defense.Disadvantages - As a chemical buffer, it is rather weak, pKa is further away from the physiological pH